The presence of the Philadelphia chromosome is associated worse with a prognosis in patients with which of the following diseases?
1. Acute lymphoblastic leukemia
2. Acute myelogenous leukemia
3. Chronic lymphocytic leukemia
4. Chronic myelogenous leukemia

Correct answer: 1. Acute lymphoblastic leukemia

Explanation: The presence of the Philadelphia chromosome is associated worse with a prognosis in patients with Acute lymphoblastic leukemia